GnRH analogues are useful in all except :
1. Endometriosis
2. Hyperprolactinemia
3. Precocious puberty
4. Menstrual disturbances

Correct answer: 2. Hyperprolactinemia